All are tests for vestibular function EXCEPT:
1. Galvanic stimulation
2. Fistula test
3. Acoustic reflex
4. Cold caloric test

Correct answer: 3. Acoustic reflex

Explanation: The acoustic reflex/ Stapedius reflex/ Attenuation reflex/ Auditory reflex It is an involuntary muscle contraction that occurs in the middle ear in response to high-intensity sound stimuli When presented with a high-intensity sound stimulus, the stapedius and tensor tympani muscles of the ossicles contract. The stapedius stiffens the ossicular chain by pulling the stapes (stirrup) of the middle ear away from the oval window of the cochlea and the tensor tympani muscle stiffens the ossicular chain by loading the eardrum when it pulls the malleus (hammer) in toward the middle ear. The reflex decreases the transmission of vibrational energy to the cochlea, where it is converted into electrical impulses to be processed by the brain. The acoustic reflex normally occurs only at relatively high intensities; activation for quieter sounds can indicate ear dysfunction. The pathway involved in the acoustic reflex is complex and can involve the ossicular chain (malleus, incus and stapes), the cochlea (organ of hearing), the auditory nerve, brain stem, facial nerve and other components.